Which of the following is the drug of choice for sporotrichosis
1. Itraconazole
2. Ketoconazole
3. Miconazole
4. Amphotericin - B

Correct answer: 1. Itraconazole

Explanation: Doc for sporotrichosis is Itraconazole except for indisseminated infection here Doc is - Amphotericin-B.